Lymphoma is caused by all of the following viruses except -
1. HIV
2. EBV
3. HSV
4. HHV8

Correct answer: 3. HSV

Explanation: Ans. is 'c' i.e., HSV * The number of viruses associated with lymphoma has increased over the last 20 years, and includes the Epstein- Barr virus (EBV), human T-cell lymphotropic virus 1 (HTLV1), human immuno-deficiency virus (HIV1 and 2) and human herpesvirus 8 (HHV8).* Some cause lymphoma by direct oncogenesis, for example EBV and Burkitt's lymphoma. Others cause lymphoma in immunosuppressed patients, for example HHV8 in primary effusion lymphoma and Castleman's syndrome.* Lymphomas in HIV patients arise directly due to HIV action on lymphocytes and secondary to AIDS, with up to 50% of these lymphomas associated with EBV.* Hepatitis C virus (HCV) has only recently been recognized as a potential cause of Bcell lymphoma